The staining useful for antemortem diagnosis of rabies is -
1. Seller
2. Macchiavillo
3. Giemsa
4. Fluorescent

Correct answer: 4. Fluorescent

Explanation: Antemortum:The method most commonly used for the diagnosis is the demonstration of rabies virus antigens by immunofluorescence. Direct immunoflourescence is done using monoclonal antibodies tagged with fluorescin isothiocyanate. REF:ANANTHANARAYAN AND PANIKER'S TEXTBOOK OF MICROBIOLOGY 9TH EDITION PAGE NO-533